Cremasteric muscle is supplied by -
1. Genital branch of genitofemoral nerve
2. Femoral branch of genitofemoral nerve
3. Lateral femoral nerve
4. Ilio-inguinal nerve

Correct answer: 1. Genital branch of genitofemoral nerve

Explanation: Nerve supply of cremasteric muscle- Genital branch of genitofemoral nerve